A 30 year old primipara in labor with transverse lie treatment of choice is
1. Internal cephalic version
2. Emergency cesarean section
3. Wait and watch
4. External cephalic version

Correct answer: 2. Emergency cesarean section

Explanation: Patients in labor with transverse lie can be managed by external cephalic version followed by surgical rupture of membrane But it is important to note that the patient is primigravuda with age 30years i.e, elderly primi so ECV is contraindicated This patient requires emergency cesaream section